Tarsal tunnel syndrome involves -
1. Lateral cutaneous nerve of thigh
2. Posterior tibial nerve
3. Common peroneal nerve
4. Sciatic nerve

Correct answer: 2. Posterior tibial nerve

Explanation: Ans. is 'b' i.e., Posterior tibial nerve Entrapment neuropathyo Entrapment neuropathy is a medical condition caused by entrapment and compression of a peripheral nerve wherever it traverses fibro-osseous tunnels,o Sites of entrapment neuropathy are : -Carpal tunnel: - Median nerve (carpal tunnel syndrome)Cubital tunnel: - Ulnar nerve (cubital tunnel syndrome)Guyan s canal: - Ulnar nerve (Guyan's canal syndrome)Tarsal tunnel: - Posterior tibial nerve (Tarsal tunnel syndrome)Inguinal ligament: - Lateral cutaneous nerve of thigh (meralgia paraesthetica).Suprascapular notch : - Suprascapular nerveNeck of fibula: - Common peroneal nerveFascial tunnel of superficial peroneal nerve : - Superficial peroneal nerveArcase of Frohse : - Posterior interosseous syndromeThoracic outlet: - Lower trunk of brachial plexusCompression in the foot: - Digital nerve (Morten's metatarsalgia)